Type of human papilloma virus associated with cacinoma cervix
1. Types 6, 12, 18
2. Types 16, 18, 31
3. Types 6, 8, 11
4. Types 3, 10, 19

Correct answer: 2. Types 16, 18, 31

Explanation: Explanation:
Juvenile Papillomatosis of the breast
● It is a relatively common benign localised proliferative lesion in the breast.
● It is mainly seen in young women (mean age: 19-23 years)
● Caused by HPV 6 and 11.
Clinical presentation
● Patients present with a firmt well-defined, mobile mass often in the periphery of the breast.
● There is usually no nipple discharge.
Pathology
● Papillary proliferation of the ductal epithelium which partly fills up smaller ducts causing distension.
● Grossly, well-circumscribed mass containing multiple small cysts (<2 cm) within a dense fibrous stroma
(therefore sometimes termed swiss cheese disease by pathologists).
● Lesions can vary in size, usually ranging from 1 to 8 cm.
Radiographic features
Breast ultrasound
● They can appear as an ill-defined, inhomogenous hypoechoic mass with multiple small (up to 4mm) predominantly peripheral cysts.
● Microcalcifications may be seen at sonography.
Mammography
● These lesions are usually negative on mammography.
● Occasionally may show microcalcifications, an asymmetric density or a prominant intraductal pattern. 
Galactography
● May show a multiple irregular filling defects within the breasts. Breast MRI
Signal characteristics according to one report include
● T1 : hypo-intense lobulated mass
● T2 : may show- presence of multiple small internal cysts, best shown on this sequence and is considered the most specific feature
● T1 C+ (Gd) : may or may not show marked rapid enhancement
● Dynamic sequence: shows a benign enhancement profile.
Complications
● Despite being a benign entity, it is considered by some to be a marker for familial breast cancer.
● Approximately /0% develop breast cancer later in life.